Which is false regarding Cryptococcus neoformans -
1. Grows at temperature 37o C
2. It has 4 serotypes
3. Urease negative
4. Infection in immunocompromised pt.

Correct answer: 3. Urease negative

Explanation: C. neoformans has two varieties: C. neoformans var neoformans and C. neoformans var gattii. Based on antigenic specificity of the capsular polysaccharide, the species has been classified into four serotypes. These are serotypes A and D (C. neoformans var neoformans) and serotypes B and C (C. neoformans var gattii). It grows (mucoid colonies) at 37degC, assimilates inositol, produces urease, and does not produce mycelia on cornmeal agar. Disseminated cryptococcosis occurs most commonly in patients with AIDS and other immunosuppressed conditions. Nigar seed agar is used to demonstrate melanin production . Urea hydrolysis test Positive for Cryptococcus: